Muscular voice in females is treated by
1. Thyroplasty type 1
2. Thyroplasty type 2
3. Thyroplasty type 3
4. Thyroplasty type 4

Correct answer: 4. Thyroplasty type 4

Explanation: THYROPLASTY Isshiki divided thyroplasty procedures into four categories to produce functional alteration of vocal cords. (a) Type I:- It is medial displacement of vocal cord as is achieved in teflon paste injection. (b) Type II:- It is lateral displacement of vocal cord and is used to improve the airway (c) Type III:- It is used to shorten (relax) the vocal cord. Relaxation of vocal cord lowers the pitch. This procedure is done in mutational falsetto or in those who have undergone gender transformation from female to male. (d) Type IV:- This procedure is used to lengthen (tighten) the vocal cord and elevate the pitch. It converts male character of voice to female and has been used in gender transformation. It is also used when vocal cord is lax and bowing due to aging process or trauma. Ref:- Dhingra; pg num:-301,302